Compound fracture is
1. Fracture with artery involvement
2. Fracture with nerve involvement
3. Fracture with muscle involvement
4. Fracture with skin involvement

Correct answer: 4. Fracture with skin involvement

Explanation: D i.e. Fracture with skin involvement